Commonest malignancy of ovary is :
1. Serous type
2. Mucinous
3. Dermoid cyst
4. Granulosa cell tumour

Correct answer: 1. Serous type

Explanation: Serous type